Which cephalosporin can cause Disulfiram like reaction -
1. Cefuroxime
2. Cefamendole
3. Ceftazidine
4. Ceftizoxim

Correct answer: 2. Cefamendole

Explanation: Ans. is 'b' i.e., Cefamendole o Disulfiram like reaction - cefamandole, cefoperazone, moxalactam and cefotetan can cause disulfiram like reaction with alcohol.